Oral contraceptives increase risk of all except
1. Breast cancer
2. Ovarian cancer
3. Cervical cancer
4. Liver cancer

Correct answer: 2. Ovarian cancer

Explanation: OCPs have protective effect against endometrial and ovarian cancer.